Lactic acid is produced in mouth by
1. Saccharolytic bacteria in supragingival region
2. Saccharolytic bacteria in subgingival region
3. Non-saccharolytic bacteria in supragingival region
4. Non-saccharolytic bacteria in subgingival region

Correct answer: 1. Saccharolytic bacteria in supragingival region